A woman noticed mass in her left breast with bloody discharge. Histopathology revealed duct ectasia. Treatment is:-
1. Simple mastectomy
2. Microdochotomy
3. Lobectomy
4. Hadfield's operation

Correct answer: 4. Hadfield's operation

Explanation: DUCT ECTASIA (PERIDUCTAL MASTITIS) =Dilatation of multiple ducts, =Associated with periductal inflammation. Most common age- above 50 years Most common presenting feature:nipple discharge(Greenish) Most common discharge in duct ectasia:serous discharge Treatment of duct ectasia is Hadfield's operation. HADFIELD's OPERATION -A periareolar incision is made and a cone of tissue is removed with its apex just deep to the surface of the nipple and its base on the pectoral fascia.